A 5-year-old child presents with history of fever off- and-on for past 2 weeks and petechial spots all over the body and increasing pallor for past 1 month. Examination reveals splenomegaly of 2 cm below costal margin. The most likely diagnosis is:
1. Acute leukemia
2. Idiopathic thrombocytopenic purpura
3. Hodgkin's lymphoma
4. Aplastic anemia

Correct answer: 1. Acute leukemia

Explanation: - Pallor (anemia), petechial spot (thrombocytopenia), fever (infection due to neutropenia) with splenomegaly suggest the diagnosis of acute leukemia. - Splenomegaly eliminates aplastic anemia - Presence of anemia and recurrent infections, go against ITP